All of the following are increased in infants of heart disease patient except
1. Prematurity
2. IUGR
3. Increased incidence of cardiac disease
4. Neural tube defect

Correct answer: 4. Neural tube defect

Explanation: Fetal effects in Cardiac disease complicating pregnancy Overall Perinatal mortality is not greater than general population accounts for 45% Fetal Growth Restriction Preterm labor If mother has congenital heart disease fetus is at risk 50% have same anomaly as mother Reference: William's Obstetrics; 24th edition; chapter 49